Which of the following antibiotic can be used in SIADH
1. Doxycycline
2. Minocycline
3. Tigecycline
4. Demeclocycline

Correct answer: 4. Demeclocycline

Explanation: Demeclocycline blocks Vasopressin - 2 receptors and can be used in the treatment of SIADH.